Relations of left ureter are all EXCEPT
1. Quadratus lumborum
2. Psoas major
3. Left gonadal vessels
4. External iliac aery

Correct answer: 1. Quadratus lumborum

Explanation: Quadratus lumborum REF: Keith L. Moore, 4th edition, Page 117"The ureter lies over Psoas major muscle not Quadratus lumborum" (See diagram)The ureters run inferomedially along the transverse processes of the lumbar veebrae and cross the external iliac aery just beyond the bifurcation of the common iliac aery. They then run along the lateral wall of the pelvis to enter the urinary bladder. The ureter lies on the anterior surface of the psoas majorThe ureters are normally constricted to a variable degree in three places; these constricted areas are potential sites of obstruction by ureteric (kidney) stones:At the junction of the ureters and renal pelvisWhere the ureters cross the brim of the pelvic inletDuring their passage through the wall of the urinary bladder.